Recommended interventions to reduce the incidence of Coronary artery disease include the following except-
1. Dietary cholesterol < 100/mg/1000 kcal/day
2. Salt intake < 5 gm
3. No alcohol
4. Fat intake < 10% of total energy

Correct answer: 4. Fat intake < 10% of total energy

Explanation: Fat intake should be 20-30% of total energy intake
Saturated fat consumption should be less than 10% of total energy intake.